Entropy is a measure of the:
1. Reversibility of reaction
2. Randomness in a system
3. Exothermicity
4. Free energy for an enzymatic reaction

Correct answer: 2. Randomness in a system

Explanation: Entropy is degree of disorder or randomness in a system i.e. movement or vibration of molecules in a system. ADDITIONAL READING: Laws of thermodynamics are: 1) Zeroth law of thermodynamics states that if two systems are in thermal equilibrium with a third system, they are in thermal equilibrium with each other. This law defines the concept of temperature. 2) First law of thermodynamics states that energy can neither be created, nor be destroyed. It can just be converted from one form to another. 3) Second law of thermodynamics says that entropy of a system always increases with time. This law defines the concept of entropy. 4) Third law of thermodynamics states that the entropy of a system attains a constant value as the temperature approaches absolute zero. This law tells the relation between temperature and entropy.